Fatal period in sulphuric acid poisoning is -
1. 2-4 hours
2. 6-10 hours
3. 12-16 hours
4. 8-14 hours

Correct answer: 3. 12-16 hours

Explanation: For H2SO4, fatal period is 12-24 hours and fatal dose is 10-15 ml.